The characteristic finding in diabetic nephropathy is -
1. Diffuse glomerulosclerosis
2. Nodular glomerulosclerosis
3. Armani - Ebstein reaction
4. Fibrin caps

Correct answer: 2. Nodular glomerulosclerosis